IOC for urethral trauma:
1. Ascending urethrogram
2. Descending urethrogram
3. USG
4. CT scan

Correct answer: 1. Ascending urethrogram

Explanation: Ans. (a) Ascending urethrogramRef: Bailey and Love 27th Edition, Page 1479* Most common urethral injury sites caused by external trauma are bulbar and membranous urethra.* Most common cause of urethral trauma: Catheterization and cystoscope induced.* IOC for urethral injuries is by ascending urethrogram using water soluble contrast.